Dripping candle wax lesion on spine:
1. Metastasis
2. TB spine
3. Osteopetrosis
4. Melorheostosis

Correct answer: 4. Melorheostosis

Explanation: Fig. Candle bone disease (Melorheostosis)